Antisnake venom may cause:
1. Type II hypersensitivity reactions
2. Type III hypersensitivity reactions
3. Type IV hypersensitivity reactions
4. Type V hypersensitivity reactions

Correct answer: 2. Type III hypersensitivity reactions

Explanation: Ans. Type III hypersensitivity reactions